Oliver's sign is seen in:
1. Ascending aortic aneurysm
2. Arch of aorta aneurysm
3. Descending aortic aneurysm
4. Aortic dissection

Correct answer: 2. Arch of aorta aneurysm

Explanation: B i.e. Arch of aorta aneurysmRef: Rutherford Vascular Surgery, 8th edition, page 2090Explanation:Oliver's Sign:It is an abnormal downward movement of the trachea during systole that can indicate a dilation or aneurysm of the aortic arch*.Elicited by gently grasping the cricoid cartilage and applying upward pressure while the patient stands with his or her chin extended upward. Due to the anatomic position of the aortic arch, which overrides the left main bronchus, a downward tug of the trachea may be felt if an aneurysm is present. Also called as Tracheal Tug sign.Another sign that is associated with abnormal pulsation of the trachea in patients with a dilation or aneurysm of the aortic arch called Cardarelli's sign.It can be felt by a physician pressing on the thyroid cartilage and displacing it to the patient's left. This increases contact between the left bronchus and the aorta, allowing systolic pulsations from the aorta to be felt at the surface if an aneurysm is present.